The first heart sound is loud in all the following except
1. Mitral stenosis
2. Anemia
3. Thyrotoxicosis
4. Mitral valve calcification

Correct answer: 4. Mitral valve calcification